A boy presents with injury to medial epicondyle of the humerus. Which of the following would not be seen -
1. Weakness of the ulnar deviation and flexion
2. Complete paralysis of the 3rd and 4th digits
3. Atrophy of the hypothenar eminence.
4. Decreased sensation of the hypothenar eminence

Correct answer: 2. Complete paralysis of the 3rd and 4th digits

Explanation: Extensors of 3rd and 4th fingers are supplied by radial nerve.